What is the clearance of a substance, if its concentration in plasma is 10 mg%, concentration in urine is 100 mg % and urine flow is 2 ml/min ?
1. 0.02 ml/min.
2. 0.2 ml/min
3. 2 ml/min
4. 20 ml/min.

Correct answer: 4. 20 ml/min.

Explanation: Ans. is 'd' i.e., 20 ml/min.